Joint involved in movement of head from left to right is
1. Atlanto occipital
2. Atlanto axial
3. C2- C3 Joint
4. C3- C4 Joint

Correct answer: 2. Atlanto axial

Explanation: * Atlanto-occipital (between skull and C1) joint permit nodding of head ( as when indicating approval or YES) and Atlanto-axial joint permits the head to be turned from side to side (as indicating disapproval or NO). * Atlantoaxial is a combination of three synovial joints. The articulation is at three places - a pair of lateral masses and a median complex (between dens of axis and anterior arch & transverse atlantal ligament) * Rotation movement takes place simultaneously at all joints and the normal range of rotation is 40 degrees. * The muscles which produce these movements are obliquus capitis inferior, rectus capitis posterior major, ipsilateral splenius capitis and contralateral sternocleidomastoid. Ref:- Gray's Anatomy 41st Edition; Pg num:- 737